All the pairs about the joints of the upper limb are true except
1. Acromioclavicular joint - Plane synovial joint
2. Shoulder joint - Ball and socket joint
3. Sternoclavicular joint - Hinge joint
4. Intercarpal and midcarpal joint - Plane synovial joint

Correct answer: 3. Sternoclavicular joint - Hinge joint

Explanation: The sternoclavicular joint is a synovial sellar joint It is the only skeletal articulation between the upper limb and the axial skeleton. Ref : Gray's Anatomy The Anatomical Basics of Clinical Practice 41 e pg 808.